Conjoint tendon is formed by
1. External oblique, internal oblique
2. External oblique, transversus abdominis
3. Internal oblique, transversus abdominis
4. Rectus abdomnis, transversus abdominis

Correct answer: 3. Internal oblique, transversus abdominis

Explanation: CONJOINT TENDON:- Falx inguinalisFormation: fusion of lowest aponeurotic fibres of internal oblique and of the transversus muscle. Medially : continuous with the anterior wall of rectus sheath.Laterally: free It may be continuous with an inconstant ligamentous band, interfoveolar ligament,which connects lower border of transversus abdominis to the superior ramus of pubis. Conjoint tendon strengthens the anterior abdominal wall at site where it is weakened by the superficial inguinal ring. {Reference: BDC 6E}